Which of the following is not a sign of upper motor neuron paralysis
1. Babinski sign
2. Spastic paralysis
3. Denervation potential in EMG
4. Exaggeration of tendon reflexes

Correct answer: 3. Denervation potential in EMG

Explanation: Ans. is 'c' i.e., Denervation potential in EMG Difference between upper and lower motor neuron paralysis Upper motor neuron paralysis Lower motor neuron paralysis Muscles affected in groups never individual muscles Individual muscles may be affected o Atrophy slight and due to disuse Atrophy pronounced up to 70% of the total bulk Spasticity with hyperactivity of the tendon reflexes and Flaccidity and hypotoniaQ of affected muscles with loss of tendon reflexes Extensor plantar reflex (Babinski sign) Plantar reflex if present is of normal flexor type Fascicular twitches absent Fasciculation may be present Normal nerve conduction studies; no denervation potentials in E.M.G. Abnormal nerve conduction studies; denervation potential (fibrillations, fasciculations positive sharp waves) in EMG